All are used In bronchial asthma, except
1. Salbutamol
2. Morphine
3. Aminophylline
4. Steroid

Correct answer: 2. Morphine

Explanation: Salbutamol is a beta2 agonist which relaxes smooth muscles and relieves bronchospasm.Aminophylline is a phosphodiesterase inhibitor that produces bronchodilator effect along with anti-inflammatory effect.Steroids,both oral and inhalational,are also used in asthma because of their anti-inflammatory property. WHO proposed step wise approach for management of bronchial asthma. Morphine is used in emergency management of acute myocardial infarction. Reference:Harrison's medicine-18th edition,page no:2110.